The genetic defect associated with decreased response to interferon therapy to Hepatitis C is:
1. IL28B
2. IL15
3. c-KIT
4. NAT2

Correct answer: 1. IL28B

Explanation: Some patients with hepatitis C may not respond well to treatment with interferon as expected. They are harboring genetic variation in IL28B usually. Ref: Harrison, Edition-18, Page-42